Post-tetanic potentiation is due to
1. Hyper polarization of muscle fibres
2. Rapid K efflux
3. Increased availability of Ca
4. Rapid Na influx

Correct answer: 3. Increased availability of Ca

Explanation: Post-tetanic potentiation one form of plastic change it is the production of enhanced postsynaptic potentials in response to stimulation. This enhancement lasts up to 60s and occurs after a brief tetanizing train of stimuli in the presynaptic neuron. The tetanizing stimulation causes Ca2+ to accumulate in the presynaptic neuron to such a degree that the intracellular binding sites that keep cytoplasmic Ca2+ low are overwhelmed. Ref: Ganong's Review of Medical Physiology 26th edition